Intermediate filaments in connective tissue
1. Keratin
2. Desnin
3. Vimentin
4. Lamin

Correct answer: 3. Vimentin

Explanation: Vimentin is the intermediate filaments present in connective tissue It is used as tumor marker in tumor of connective tissue Ref:Guyton and Hall textbook of medical physiology 12th edition,page number 8,9,14